Horner’s syndrome involves all except
1. Ptosis
2. Exopthalmos
3. Anhidrosis
4. Loss of cilio-spinal reflex

Correct answer: 2. Exopthalmos

Explanation: Horner’s syndrome is caused by damage to the sympathetic trunk.
The symptoms occur on the same side as the lesion of the sympathetic trunk.
It is characterized by


Miosis (a constricted pupil),
Ptosis (drooping of eyelids due to weakness of superior tarsal muscle which is a part of levator palpebrae superioris)
Apparent enophthalmos (ptosis due to weakness of orbicularis oculi makes it appear that the eyes are sunken in enophtalmos, exophthalmos doesn’t occur in Horner’s syndrome),
Anhidrosis (decreased sweating) and
Loss of cilio-spinal reflex (pinching nape of neck leads to pupillary dilation).